Which of the following type of cell junction allow exchange of cytoplasmic molecules between two cells?
1. Gap junctions
2. Tight junctions
3. Focal junctions
4. Anchoring junctions

Correct answer: 1. Gap junctions

Explanation: The cell junctions allowing exchange of cytoplasmic molecules between two cells are called gap junctions. Gap junctions permits rapid propagation of electrical activity and exchange of various chemical messengers from cell to cell. The diameter of the channel is normally about 2nm, which permits the passage of ions, sugars, amino acids, and other solutes with molecular weight up to about 1000 Da. It is primarily composed of the protein connexin, which contains four membrane spanning alpha helices. Connexons can be used as channels to release small molecules from the cytosol into the ECF.